Which of the following represents a soluble polysaccharide found in dental plaque and is formed from the fructose moiety of sucrose ?
1. Levan
2. Dextran
3. Amlyopectin
4. Hyaluronic acid

Correct answer: 1. Levan